Fothergill's repair is also known as
1. Khann's sling operation
2. Manchester operation
3. Le Fort's repair
4. Shirodkar's abdominal sling operation

Correct answer: 2. Manchester operation

Explanation: (Manchester operation): Ref: 327-S (305-S14th)OPERATION FOR GENITAL PROLAPSE* FothergilPs repair (Manchester operation). It is suitable for women under 40 years who are desirous of retaining their menstrual and reproductive functions* Le Fort's repair - reserved for very elderly menopausal patient with an advanced prolapse* Abdominal sling operations: designed for young women suffering from second or third degree uterovaginal prolapse(I) Abdominocervicopexy(II) Shirodkar's abdominal sling operations(III) Khann's abdominal sling operationsIn younger women desirous of retaining child bearing functions conservating surgical repair operations are indicated, where as in the perimeopausal and menopausal women, vagional hysterectomy with repair of the pelvic floor is the operation of choice.